The severity of pelvic pain in endometriosis correlates best with :
1. Number of implants
2. Depth of invasion
3. Stage of disease
4. Ca 125 levels

Correct answer: 2. Depth of invasion

Explanation: Depth of invasion